A cell which does not migrate from, the base of the crypt to ends of villi is -
1. Enterocyte
2. Endocrine cell
3. Paneth cell
4. Goblet cell

Correct answer: 3. Paneth cell

Explanation: Paneth cells are characteristically found in the bases or deepest part of intestinal glands (or crypt of liberkuhn), because unlike other cell lineages it exceptionally migrate towards the base instead of going towards the tip of villi.